First dose hypotension is caused by :
1. Prazosin
2. Clonidine
3. Sodium nitroprusside
4. Propranolol

Correct answer: 1. Prazosin

Explanation: Ans. is 'a' Prazosin Prazosin is a highly selective alpha1 blocker*It dilates arterioles more than veins*It is effective orally *It causes first dose hypotension *It is primarily used as an antihypertensiveIts initial dose should be low